The most common bone fractured during birth -
1. Clavicle
2. Scapula
3. Radius
4. Humerus

Correct answer: 1. Clavicle

Explanation: Clavicular fracture are the most common fractures diagnosed as birth trauma.
Clavicles are at risk of fractures during shoulder dystocia or in a breech delivery with arms extended.